Pastic cover of syringes are disposed in:
1. Red bag
2. Yellow bag
3. Black bag
4. Blue bag

Correct answer: 3. Black bag

Explanation: Black bag REF: Park 20' edition page 699, Repeated in December 2011 "Plastic cover of syringe being general non infectious waste is disposed in black bag" Colour code Type of container Waste disposed Black bag Plastic bag * Noninfectious waste (papers, plastic covers) * Discarded medicines & cytotoxic drugs Red bag Plastic bag/ Disinfected * Infected solid disposable wastes other than sharps container gloves, tunings, catheters, iv sets) * Infected solid wastes contaminated with blood and body fluids(dressing, plaster, linen) * Microbiology/Biotech waste (vaccines, cultures) Yellow bag Plastic bag * Human anatomical waste * Animal waste * Microbiology/Biotech waste (vaccines, cultures) * Infected solid wastes contaminated with blood and body fluids(dressing, plaster, linen) Blue bag Plastic bag/ Puncture * Solid sharps (needles, syringes, scalpels, blades) proof container * Infected solid disposable wastes other than sharps (gloves, tunings, catheters, iv sets)